Casper Dictum is:
1. Identification of dead body
2. Calculation of time since death
3. Detection of child abuse
4. Detection of Co poisoning

Correct answer: 2. Calculation of time since death

Explanation: Calculation of time since death